AFP raised in:
1. Teratoma
2. Yolk sac tumor
3. Choriocarcinoma
4. Dysgerminoma

Correct answer: 2. Yolk sac tumor

Explanation: Ans. B. Yolk sac tumorAlpha Feto protein (AFP) level are elevated in non- seminomatous germ cell tumors (NSGCT) including embryo. A carcinoma, yolk sac tumor and mixed germ cell tumors.Germ Cell TumorsSeminomatous germ Cell TumorsNon seminomatous Germ Cell K Tumors(NSGCT)TumorAFPhCGTumorAFPHcgSeminoma (male)-ve+/-Embryonal carcinoma+ve+veDysgerminoma (female)-ve+/-Yolk sac tumor (Endodermal sinus tumor)+ve-ve Choriocarcinoma-ve+ve Teratoma-ve-ve